Masculinising tumour of ovary is :
1. Dysgerminoma
2. Granulose cell tumour
3. Arrhenoblastoma
4. Dermoid cyst

Correct answer: 3. Arrhenoblastoma

Explanation: Arrehnoblastoma